Bile acid Sequestrant is:
1. Atorvastatin
2. Resin
3. Fibrates
4. Niacin

Correct answer: 2. Resin

Explanation: Ans. B. ResinAtorvastatin is HMG co reductase inhibitor which inhibit the synthesis of cholesterol. Fibrates activate the lipoprotein lipase. Niacin inhibit the lipolysis in adipose tissue. Resin bind s to bile acid in the intestine and inhibit its reabsorption.